Investigation of choice for detection and characterization of interstitial lung disease is:
1. MRI
2. Chest X-ray
3. High resolution CT scan
4. Ventilation perfusion scan

Correct answer: 3. High resolution CT scan

Explanation: Ans: C i.e. High resolution CT scan Conditions and IOC MRI is IOC for superior sulcus/ pancoast tumour HRCT is IOC for interstitial lung disease and Bronchiectasis V/Q scan is 2"d IOC for pulmonary embolism (CT with I/V contrast is first IOC for pulmonary embolism)